The anaesthetic agent that causes maximum increase in intracranial pressure is
1. Isoflurane
2. Halothane
3. Enflurane
4. Desflurane

Correct answer: 2. Halothane

Explanation: By dilating cerebral vessels, halothane lowers cerebral vascular resistance and increases cerebral blood volume and CBF. Autoregulation, the maintenance of constant CBF during changes in arterial blood pressure, is blunted. Concomitant rises in intracranial pressure can be prevented by establishing hyperventilation before the administration of halothane. Cerebral activity is decreased, leading to electroencephalographic slowing and modest reductions in metabolic oxygen requirements. Ref: Miller's anesthesia 8th edition Ref: Morgan & Mikhail's clinical anesthesiology 6e